Anterior 2/3 of tongue develops from
1. 1st branchial arch
2. 2nd branchial arch
3. 3rd branchial arch
4. 4th branchial arch

Correct answer: 1. 1st branchial arch

Explanation: The anterior two-thirds: From two lingual swellings which arise from the first branchial arch. Therefore, it is supplied by lingual nerve of first arch and chorda tympani of second arch The posterior one-third: From cranial large part of the hypobranchial eminence, that is from the third arch. Therefore, it is supplied by the glossopharyngeal nerve The posterior-most part from the fourth arch. This is supplied by the vagus nerve Ref BDC volume 3,sixth edition pg 270